A 9 yr old girl has a bleeding diathesis, with prolonged APTT but normal PT, and normal platelet count. The diagnosis is -
1. Factor V deficiency
2. Haemophilia A
3. Haemophila B
4. VonWillebrand's disease

Correct answer: 4. VonWillebrand's disease